MEN-II is seen with the following type of thyroid carcinoma:
1. Papillary
2. Medullary
3. Anaplastic
4. Follicular

Correct answer: 2. Medullary